Growth hormone secretion is decreased by
1. Exercise
2. Stress
3. Glucose
4. Glucagon

Correct answer: 3. Glucose

Explanation: Growth hormone (GH) any of several related polypeptide hormones secreted by the anterior lobe of the pituitary gland that directly influences protein, carbohydrate, and lipid metabolism and controls the rate of skeletal and visceral growth; their secretion is in part controlled by the hypothalamus. It is used pharmaceutically as somatrem and somatropin. Called also somatotrophin, somatotropin, and somatotrophic or somatotropic hormone.Ref: Ganong's review of medical physiology; 24th edition; page no:-327